Incomplete Androgen insensitivity syndrome is
1. More severe than complete androgen insensitivity.
2. Clitoromegaly and partial fusion of Labia.
3. Breast development is absent.
4. Karyotype is 46XX.

Correct answer: 2. Clitoromegaly and partial fusion of Labia.

Explanation: Incomplete AIS =

Less severe than complete AIS.
As testosterone gets converted to estrogen, breast development is proper.
Karyotype is 46 XY.
Clitoromegaly is the characterisitic feature.